Most common malignant neoplasm of the eyelid is -
1. Squamous cell carcinoma
2. Basal cell Carcinoma
3. Merkel Cell tumour
4. Malignant Melanoma

Correct answer: 2. Basal cell Carcinoma

Explanation: Ans. is 'b' i.e., Basal cell Carcinoma There are 4 main types of evelid cancers:a. Basal cell carcinoma (BCC)# BCC is the most common type of eyelid tumour, accounting for about 85% of all eyelid tumours. It is also the most common type of cancer that occurs outside the eyeball.# BCC of the eyelid usually affects adults, but may also occur in younger people.# These tumours are related to sun exposure and are similar to basal cell carcinoma of the skin.# BCC most often occurs in the lower eyelidb. Squamous cell carcinoma (SCC)# SCC of the eyelid is uncommon, accounting for about 5% of all eyelid tumours.# It can occur from a precancerous condition, such as actinic keratosis or Bowen's disease.# These tumours are also related to sun exposure and are similar to squamous cell carcinoma of the skin.# SCC tends to behave more aggressively and is more likely to spread than BCC.c. Sebaceous gland carcinoma (SGC)# SGC is cancer of the glands in the eyelid.# It is a rare tumour that may account for up to 5% of all eyelid cancers.# It occurs more often in women than men and occurs most often in the elderly.# These tumours develop most often on the upper eyelid, followed by the lower eyelid and the caruncleo SGC can start in the Meibomian glands, glands of Zeis or the sebaceous glands of the caruncle.# SGC is often diagnosed at a later stage because it can mimic benign conditions. It can also grow aggressively.# SGC may be multifocal (occurring in more than one place), so they have a tendency to recur after treatmentd Malignant melanoma# Melanoma of the eyelid is very uncommon and accounts for less than 1% of all eyelid cancers.# Melanoma of the eyelid is similar to melanoma of the skin of the skin. It is staged and treated the same way as a skin melanoma.